Pharyngeal angio fibroma is treated with:
1. Surgery
2. Radiotherapy
3. Chemotherapy
4. None

Correct answer: 1. Surgery